Earliest and common form of reversible cell injury is :
1. Cloudy swelling
2. Cellular swelling
3. Albuminous degeneration
4. All of the above

Correct answer: 4. All of the above

Explanation: Following morphologic forms of reversible cell injury are included under this heading:

Hydropic change (cloudy swelling, or vacuolar degeneration)
Fatty change
Hyaline change
Mucoid change